Which of the following is the order of activation after stimulation of purkinje fibers
1. Septum> Endocardium> Epicardium
2. Endocardium > Septum > Epicardium
3. Epicardium > Septum > Endocardium
4. Septum > Epicardium > Endocardium

Correct answer: 1. Septum> Endocardium> Epicardium